The mass treatment of trachoma is undertaken if the prevalence of severe or moderate trachoma, in children under 10 years, is more than:
1. 3%
2. 10%
3. 5%
4. 6%

Correct answer: 3. 5%

Explanation: Ans: C i.e. 5% A prevalence of more than 5% severe and moderate trachoma in children tinder 10 years of age is an indication for mass/ blanket treatment.